The threshold of Middle cerebral artery peak systolic velocity for the diagnosis of fetal anemia is a value ------ for the gestational age
1. >= 1 MoM
2. >= 1.5 MoM
3. >= 3 MoM
4. >= 5 MoM

Correct answer: 2. >= 1.5 MoM

Explanation: The MCA PSV is an accurate noninvasive method for the diagnosis of fetal anemia. The threshold of for the diagnosis of fetal anemia is a value >= 1.5 MoM for the gestational age. Abnormally elevated MCA PSV has a sensitivity of 100% and false positive rate 12% for the diagnosis of fetal anemia. Reference: Practical guide to High Risk Pregnancy and Delivery; 3rd edition; Chapter 14; Rh Alloimmunization